Tensile strength of wound aftr laparoscopic cholecystectomy in a 30yr old woman depends upon
1. Replacement of type 3collagen
2. Extensive cross linking of tropocollagen
3. Macrophage activity
4. Granulation tissue

Correct answer: 2. Extensive cross linking of tropocollagen

Explanation: ref Robbins, 8/e p105 -106 Collagen is a ubiquitous protein with remarkable mechanical properties. It is highly elastic, shows large during tropocollagen. The molecular component of a collagen fibril, consisting of three polypeptide chains coiled around each other.